Which of the following is required for post-translational modification?
1. Vitamin B12
2. Biotin
3. Beta-carotene
4. Vitamin C

Correct answer: 4. Vitamin C

Explanation: Ans. (d) Vitamin CRef: Robbiris pathology 9th ed. 18* As the collagen molecule is produced, it undergoes many changes, termed post-translational modifications.* These modifications take place in the Golgi compartment of the ER.* Collagen, like most proteins that are destined for transport to the extracellular spaces for their function or activity, is produced initially as a larger precursor molecule called procollagen.* Procollagen contains additional peptides at both ends that are unlike collagen. On one end of the molecule, called the amino terminal end, special bonds called disulfide bonds are formed among three procollagen chains and ensure that the chains line up in the proper alignment. This step is called registration. Once registration occurs, the three chains wrap around each other forming a string-like structure.* One of the first modifications to take place is the very critical step of hydroxylation of selected proline and lysine amino acids in the newly synthesized procollagen protein